Saturnism is a feature of?
1. Mercury poisoning
2. Lead poisoning
3. Arsenic poisoning
4. Thallium poisoning

Correct answer: 2. Lead poisoning

Explanation: Ans. (b) Lead poisoningRef. Parikh 6/e, p 9.18